Osseous loose bodies in the joints are common in all of the following, except -
1. Osteochondritis dessicans
2. Osteoarthritis
3. Osteochondral fracture
4. Rheumatoid arthritis

Correct answer: 4. Rheumatoid arthritis

Explanation: Causes of loose bodies include :-


Osteoarthritis 
Osteochondritis dessicans
Osteochondral fracture (injury)           
Charcot's disease
Synovial chondromatosis


Among these, osteochondral fracture causes single loose bodies, while all other can cause multiple loose bodies, maximum by synovial chondromatosis (up to hundred’s).